All of the following types of interactions cooperate in stabilizing the tertiary structures of globular proteins except
1. Disulphide bonds
2. Hydrogen bonds
3. Ionic interactions
4. Peptide bonds

Correct answer: 4. Peptide bonds

Explanation: Peptide bonds are not involved in stabilizing tertiary structure of proteins.It forms the primary structure of proteins. Interactions stabilizing tertiary structure of proteins are as follows: Disulfide bonds Hydrophobic interactions Hydrogen bonds Ionic interactions NOTE: Hydrogen bond and Van der waal interactions are involved in the formation of alpha helix(secondary structure) Reference: Harpers illustrated Biochemistry 31st Edition pg 39